Pea-soup stool is characteristically seen in ?
1. Cholera
2. Typhoid
3. Botolism
4. Polio

Correct answer: 2. Typhoid

Explanation: Ans. is 'b' i.e., Typhoid Pea - soup stool It is khaki - green, slimy stools typically occurs in the 3' week of typhoid fever, at which point the patients are in toxic state and at greatest risk for the intestinal perforation and hemorrhage. Similar stools occur in enteropathogenic E. coli infection of infants.